In myocardium reperfusion injury is due to?
1. Ca
2. Mg
3. K
4. Mn

Correct answer: 1. Ca

Explanation: Ans. (a) Ca(Ref: Gross GJ, Kersten JR, Warltier DC. Mechanisms of postischemic contractile dysfunction. Ann Thorac Surg. 1999; 68:1898-1904.)Mediators of reperfusion injury are: Oxygen Free Radicals, Endothelial Dysfunction and Microvascular Injury, Alterations in Calcium Handling